Rhinoscleroma occurs due to
1. Auto immune cause
2. Klebsiella rhinoscleromatis infection
3. Inflammatory cause
4. Mycotic infection

Correct answer: 2. Klebsiella rhinoscleromatis infection

Explanation: Rhinoscleroma

The causative organism is Klebsiella rhinoscleromatis Frisch bacillus, which can be cultured from the biopsy material.
The disease is endemic in several parts of the world.
In India, it is seen more open in northern than in the southern parts.
Biopsy shows infiltration of submucosa with plasma cells, lymphocytes, eosinophils, Mikulicz cells & Russell bodies.
There two are diagnostic features of the disease.
The disease starts in the nose & extends to nasopharynx, oropharynx, larynx, trachea & bronchi.
Mode of infection is unknown.
Both sexes of any age may be affected.